Bacterial indicator for dry heat sterilization is ?
1. Bacillus subtilis
2. Bacillus pumilis
3. Bacillus stearothermophilus
4. Coxiella burnetti

Correct answer: 1. Bacillus subtilis

Explanation: sterilization control Biological; the spore of a nontoxigenic strain of Clostridium tetani Bacillus subtilus subsp.niger are used microbiological test of dry heat efficacy REF:Ananthanarayan & Panicker's Textbook of Microbiology 9th edition pg no:30